Pseudo paralysis is seen in –
1. Scurvy
2. Rickets
3. Polio
4. Osteomalacia

Correct answer: 1. Scurvy